Symptoms of VIPOMA-
1. Gall stones
2. Secretory diarrhoea
3. Fat malabsorption
4. Flushing

Correct answer: 2. Secretory diarrhoea

Explanation: A vipoma is a non-beta pancreatic islet cell tumor secreting vasoactive intestinal peptide (VIP), resulting in a syndrome of watery diarrhea, hypokalemia, and achlorhydria (WDHA syndrome).The major clinical features are prolonged watery diarrhea (fasting stool volume > 750 to 1000 mL/day) Ref Davidson edition23rd pg678b